A patient with orthopaedic hip implant is to undergo dental extraction. What antibiotic prophylaxis should be given:
1. Amoxicillin 3 times a day for 3 days before procedure
2. Amoxicillin 3 times a day for 1 day before procedure
3. Amoxixillin IV 1 hour before procedure
4. Antibiotic prophylaxis is not required

Correct answer: 4. Antibiotic prophylaxis is not required